Renauld Braud phenomenon is seen in
1. Candida albicans
2. Candida psittaci
3. Histoplasma
4. Cryptococcus

Correct answer: 1. Candida albicans

Explanation: Candida albicans has the ability to form germ tubes within 2hours when incubated in human serum at 37C - Reynolds-Braude phenomenon. Ref: Textbook of Microbiology, Ananthanarayan and Paniker; 9th edition